In assessing LUTS in men, which of the following statements are false?
1. Charting patient's symptoms according to the International Prostate Symptom Score (IPSS) is routinely used.
2. Flow rate measurement studies and pressure-flow urodynamic studies are done.
3. Thorough nervous system examination is mandatory.
4. Cystourethroscopy is a good guide as an indication for surgery.

Correct answer: 4. Cystourethroscopy is a good guide as an indication for surgery.

Explanation: Cystourethroscopy does not give any guide as to the degree of BOO and the need for surgery. Causes of male lower urinary tract symptoms (LUTS) Obstruction: - Benign Prostatic Obstruction - Foreign Body - Urethral Stricture Primary Bladder Pathology: - Overactive Bladder - Detrusor Underactivity Infectious: - Urinary Tract infection - Prostatitis Malignant: - Bladder tumor - Prostate Cancer Neurogenic bladder dysfunction Diuretic causes:- - Diabtes - Noctumal Polyuria Extra-vesicle cause: - Distal Ureteric Stone